Emergency tracheostomy is not indicated in
1. Foreign body larynx
2. Bilateral vocal cord paralysis
3. Stridor due to laryngeal growth
4. Acute severe asthma

Correct answer: 4. Acute severe asthma

Explanation: Emergency tracheostomy is not indicated in asthma.